Colonic disease can be diagnosed by all except
1. Virtual colonoscopy
2. Ba enema
3. Ba swallow
4. Ba follow through

Correct answer: 3. Ba swallow

Explanation: .Indications of Barium swallow * Dysphagia due to motility disorder like achalasia cardia, diffuse oesophageal spasm. * Dysphagia due to mechanical causes like carcinoma, benign strictures and neoplasms, external compression. *Pharyngeal pouch and other diverticula. * GORD .ref:SRB's manual of surgery,ed 3,pg no 721